Defect in SNURPs causes
1. Defect in 5'capping
2. Defect in addition of poly A tail
3. Defect in splicing
4. Defect in terminal addition of nucleotide

Correct answer: 3. Defect in splicing

Explanation: Spliceosomes : Small nuclear RNA (snRNAs) takes part in formation of spliceosomes. All of them located in nucleus. They complex with specific proteins, to form smal nuclear ribonucleoprotein pacles (SnRNPs) REF : DM VASUDEVAN TEXTBOOK ; 8th EDITION ; Page no:573